Planning cycle includes
1. Analysis of situation
2. Evaluation
3. Resource assessment
4. All of the above

Correct answer: 4. All of the above

Explanation: Park 23e pg: 869